Gene for folate carrier protein located on ?
1. Chromosome 10
2. Chromosome 5
3. Chromosome 21
4. Chromosome 9

Correct answer: 3. Chromosome 21

Explanation: Chromosome 21 [Ref: www.ihop netorgiunipub/ihopigi92248.htmll Transport of folate compounds Folk acid transport * Chromosome location ----> 21 q 223. * Gene name --> SLCI9AI solute carrier family 19 (folate transporter), member * Gene product/function --> Transporter for the iniake of folate. Transport of folate occurs by novel mechanism called potocytosis which functionally couples three components namely the folate receptor, the folate transporter and v-type h+ pump. * Alleles _> A 80G single nucleotide polymorphism